The drug for OPD analgesia is:
1. Morphine
2. Pethidine
3. Fentanyl
4. Alfentanil

Correct answer: 4. Alfentanil

Explanation: Alfentanil is a potent but short-acting synthetic opioid analgesic drug, used for anaesthesia in surgery. It is an analogue of fentanyl with around 1/4 to 1/10 the potency of fentanyl and around 1/3 of the duration of action, but with an onset of effects 4x faster than fentanyl.